A CKD patient had to undergo dialysis. His Hb was 5.2gm% so two blood transfusions were to be given. First bag was completed in 2 hours. Second was started and midway he developed shortness of breath, hypertension. Vitals: BP 180/120 mm Hg and pulse rate 110/min. What is the cause?
1. Allergic
2. Transfusion related circulatory overload (TACO)
3. TRALI
4. FNHTR

Correct answer: 2. Transfusion related circulatory overload (TACO)

Explanation: This C.K.D patient has developed severe anemia which is a compensated heart failure state. The patient was given first unit of blood in two hours instead of standard four hours and he is already in compensated heart failure. The acute decompensation due to volume overloading that has subsequently occurred will result in pulmonary edema and shortness of breath. This presentation is called as transfusion associated circulatory overload. Ideally patients of CKD should be given erythropoietin injections to reduce the incidence of having severe anemia.